Transmission of disease from man to vertebrate animals:
1. Anthrozoonose.
2. Vertical transmission
3. Zoo anthroposes.
4. Communicable.

Correct answer: 3. Zoo anthroposes.

Explanation: Anthrozoonoses - Diseases spreads from vertebrate animals to man.
Zoo anthroposes - Diseases spreads from man to vertebrate animals.